Index case refers to
1. First case of a communicable disease introduced into the population unit being studied
2. First case to come to attention of investigator
3. Developing from contact with primary case
4. An individual who has signs and symptoms connected to the suspected pathogens

Correct answer: 2. First case to come to attention of investigator

Explanation: First case of a communicable disease introduced into the population unit being studied Primary case First case to come to attention of investigator Index case Developing from contact with primary case Secondary case An individual who has signs and symptoms connected to the suspected pathogens Suspect case